Products of HMP shunt are all except
1. Glyceraldehyde 3-Phosphate
2. Glycerol-3-Phosphate
3. 3 CO2
4. 6NADPH

Correct answer: 2. Glycerol-3-Phosphate

Explanation: Three molecules of glucose-6-phosphate give rise to three molecules of CO 2 and three 5-carbon sugars. These are rearranged to regenerate two molecules of glucose-6-phosphate and one molecule of the glycolytic intermediate, glyceraldehyde-3-phosphate. Since two molecules of glyceraldehyde-3-phosphate can regenerate glucose-6-phosphate, the pathway can account for the complete oxidation of glucose.
Harper 30TH EDITION PG- 196